Most common site for the osteoporotic vertebral Fracture is :
1. Dorsolumbar spine
2. Cervical spine
3. Lumbosacral spine
4. Dorsal spine

Correct answer: 1. Dorsolumbar spine

Explanation: *Most common symptom of osteoporosis is back pain secondary to vertebral compression fracture. *Dorso - lumbar spine is the most frequent site. * Other common sites of fracture are lower end radius and fracture neck femur. *Osteoporotic fracture are : (1)Fracture vertebrae (2)Colle's Fracture (3) Fracture neck (4) femur Ref: Maheshwari 6th/e p.308